Increased PT and Normal PTT are found in?
1. Von Willibrand's disease
2. Factor 7 deficiency
3. Factor 8 deficiency
4. Thrombin deficiency

Correct answer: 2. Factor 7 deficiency

Explanation: ANSWER: (B) Factor 7 deficiencyREF: Mastery of Surgery by Josef E. Fischer, K. L Bland, 5th edition Part I page 90, Saint-Frances guide: clinical clerkship in outpatient medicine Page 434 8; 235See APPENDIX-50 for "BLEEDING/COAGULATION DISORDERS" and APPROACH TO A PATIENT WITH BLEEDING DISORDER"The prothrombin time (PT) is prolonged in factor VII (FVII) deficiency and the international normalized ratio (INR) is elevated. The activated partial thromboplastin time (aPTT) is within the reference range in isolated factor VII deficiency"